Chronic Right Heart Failure the appearance of liver -
1. Congested
2. Shrinking
3. Fatty liver
4. Nodular

Correct answer: 1. Congested

Explanation: Ans. is 'a' i.e., Congested o Mallory bodies are eosinophilic intracytoplasmic inclusion bodies which are composed predominantly of keratin intermediate filaments.o They are also known as alcoholic hyaline.o These inclusions are characteristic but not specific feature of alcoholic liver disease, as they are also seen in other conditions.